A 72-year-old male suffering from major depression is recently trying to commit suicide multiple times. The best treatment is
1. Amitriptyline
2. Selegiline
3. Haloperidol
4. ECT

Correct answer: 4. ECT

Explanation: ECT is treatment of choice for depressed patients with suicidal tendencies Ref: Essentials of postgraduate psychiatry By JN Vyas 1st ed Pg 604-607